(HIT)Head impulse test is used to diagnose?
1. Subarachnoid haemorrhage
2. Lhermite sign
3. Nuchal rigidity
4. Vestibular disease

Correct answer: 4. Vestibular disease

Explanation: Option A & C ruled out as SAH presents with Nuchal rigidity. Option B- Sudden neck flexion causes shooting pain in the back which is feature of TABES DORSALIS. HIT test is a bedside technique used to diagnose reduction in vestibular function in one ear vs. the other. HINTS exam (Head Impulse, Nystagmus and Test for Skew Deviation) can be used to differentiate acute continuous vertigo. The 3 components of the HINTS exam include: HINTS Test Reassuring Finding Head Impulse Test Abnormal (corrective saccade) Nystagmus Unidirectional, horizontal Test of Skew No skew deviation